A 35 year old man presented with dry cough and rusty colored sputum. He has a history of eating in a Chinese restaurant very often with consumption of crabs. What is the probable causative agent in this condition?
1. Diphyllobothrium latum
2. Pneumocystis jirovecii
3. Paragonimus westermani
4. Strongyloides stercoralis

Correct answer: 3. Paragonimus westermani

Explanation: Option A: D/T B12 deficiency. Fish tapeworm Option B: Causes Intestinal Pneumonia